First offence of stalking is:
1. Cognizable and bailable
2. Non-cognizable and bailable
3. Cognizable and non-bailable
4. Non-cognizable and non-bailable

Correct answer: 1. Cognizable and bailable

Explanation: Ans. Cognizable and bailable